True statement regarding branchial anomalies
1. Most commonly second arch is involved
2. Cyst is less common than sinus
3. No 1st arch anomalies are seen
4. Internal draining sinuses are most common

Correct answer: 1. Most commonly second arch is involved